Cordiocentesis is done in which period of pregnancy?
1. 11-14 weeks
2. 18-20 weeks
3. 22-26 weeks
4. 28-30 weeks

Correct answer: 2. 18-20 weeks

Explanation: Cordocentesis or percutaneous umbilical blood sampling(PUBS) A 22- gauge spinal needle, 13cm in length, is inserted through the maternal abdominal and uterine wall under real time ultrasound guidance using a curvilinear probe.the needle tip is progressed carefully and it punctates the umbilical vein approximately 1-2cm from the placental insertion. The advantages of preferring umbilical vein are1. Vein is larger in size2. Causes less bradycardia3. Less hemorrhage Generally, 0.5-2 ml of fetal blood is collected. It is performed under local anesthetic usually from 18 weeks of gestation. Uses of this procedure-1. Hematological- fetal anemia, bleeding disorder, Rh disease and hemoglobinopathies.2. Fetal infections- toxoplasmosis, viral infection3. Fetal blood gas and acid base status4. Fetal therapy- blood transfusion, drug therapy